Isolation is not carried out in one of the following-
1. Plague
2. Cholera
3. AIDS
4. Chicken pox

Correct answer: 3. AIDS